In self-cure acrylic resin, activator is:
1. Toluidine
2. Quaternary ammonium compound
3. Benzoyl peroxide
4. Tertiary amine

Correct answer: 4. Tertiary amine